Maggots used for wound debridement:
1. Black fly
2. House fly
3. Green bottle fly
4. Blue bottle fly

Correct answer: 3. Green bottle fly

Explanation: Maggots for Wound Debridement Maggots can either feed only on dead tissue, only on living tissue or both on living & dead tissue. The infestation by maggots of live animals is called myiasis. The files used most often for the purpose of maggot therapy are blow-files of Calliphoridae. The blow fly species used most commonly is Lucilia sericata, the common green bottle fly.